Bias is unlikely to invalidate cohort studies used to assess risk of exposure because -
1. Data collection is prospective
2. Large number of subjects is usually included
3. Exposure is usually determined prior to disease occurrence
4. Actual relative risk can be determined

Correct answer: 3. Exposure is usually determined prior to disease occurrence